High potassium diets are – a) Green leafy vegetables b) Milkc)  Bananad)  Iodised salte)  Fish
1. bcde
2. abcd
3. abce
4. abde

Correct answer: 3. abce